The treatment of choice in fistula in ano
1. Anal dilatation
2. Fissurotomy
3. Fistulectomy
4. Fistulotomy

Correct answer: 4. Fistulotomy

Explanation: Ans. is 'd' i.e., Fistulotomy